The most appropriate test used to diagnose asymptomatic neurosyphilis:
1. VDRL
2. TPHA
3. FTA-Abs
4. TPI

Correct answer: 1. VDRL

Explanation: TPI The classical findings include: 10-100 WBC/cm3, protein 50-100mg/dl & positive VDRL/RPR. Ref: Sexually transmitted infections, Bhushan Kumar, 2nd edition pg 460.